Glycolytic enzymes(s) inhibited by Fluoride:
1. Hexokinase
2. Aldolase
3. Enolase
4. Pyruvate Kinase

Correct answer: 3. Enolase

Explanation: Ans : C (Enolase) Enolase is inhibited by fluorideInhibitors of Glycolytic Enzyme -Shinde 7th/308-310FluorideFluoride inhibits the enzyme 'enolaseQNaFQ is used along with K-oxalate for collection of blood. If K-oxalate is used alone, then in vitro, glycolysis will reduce the glucose value in the sampleOther Functions of fluoride : It also acts as anticoagulant & act as an antisepticArseniteIt competes with inorganic Pi in the reaction of conversion of glyceraldehyde -3- P to 1,3- biphospho-glycerate & divert reaction in the manner in which no ATP is produced.D-gIyceraJdehyde-3-P + NAD' + PiGlycerai dehyde -3-P ---------dehydrogenase1, 3-biphosphaogIycerate + NADH + H+Iodoacetate & lodoacetamide# They bind irreversibly with the enzyme glyceraldehyde -3-P dehydrogenase & inhibit glycolysis.Bromohydroxyacetone - P# It inhibit enzyme phosphotriose isomeraseDihvd roxyacetone-PiPhosphotrioseiosmeraseD -glyceraldehyde-3-PAlso knowEnolase catalyse following reaction2 -phosphoglycerateenolase--------Mg2+ or Mn2+phosphenolpyruvateInhibitor in TCA cycleFluoroacetate inhibit aconitaseArseniteQ inhibit the conversion of a-ketoglutarate to succinyl-CoA catalysed by enzyme a-ketoglutarate dehydrogenase complexQMalonateQ inhibit succinate dehydrogenaseQ competitively.